In a young patient presenting with recurrent vitreous hemorrhage, diagnosis is:
1. Eale's disease
2. CRVO
3. Proliferative retinopathy
4. Coat's disease

Correct answer: 1. Eale's disease

Explanation: A i.e. Eale's disease Eale's disease presents with recurrent vitreous haemorrhages in young males Q